Which of the following is considered a contraindication for functional appliance treatment?
1. Class II Div. 2 pattern
2. Mandibular retrognathism
3. Proclined Lower incisors
4. Deep bite

Correct answer: 3. Proclined Lower incisors